what is the child pugh class for patient who has a serum bilirubin of 2.5mg /dL S.albumin 3g/dL INR of 2 =Mild Ascites is present but there is no encephalopathy
1. CP- A
2. CP-B
3. CP-C
4. CP-D

Correct answer: 2. CP-B

Explanation: REF : BAILEY AND LOVE 27TH ED